The working intra-abdominal pressure used in gynecological laparoscopy:
1. 10-15 mm Hg
2. 15-20 mm Hg
3. 20-30 mm Hg
4. 30-50 mm Hg

Correct answer: 1. 10-15 mm Hg

Explanation: The amount of gas transmitted into the peritoneal cavity should depend on the measured intraperitoneal pressure, not the volume of gas inflated. Intraperitoneal volume capacity varies significantly between individuals. Most prefer to insufflate to 25 to 30 mm Hg for positioning the cannulas. This means that enough CO2 is insufflated to increase the pressure of the system to 25-30 mm hg with which there is extra volume and enough counter pressure against the peritoneum, facilitating introduction of the cannula and potentially reducing the chance of bowel or posterior abdominal wall and vessel trauma. After placement of the cannulas, the pressure should be dropped to 10 to 15 mm Hg, essentially eliminates hypercarbia or decreased venous return of blood to the heart 10-15 is essentially the 'Working pressures' in laparoscopic surgery.